Boundary of triangle of auscultation is not formed by -
1. Serratus anterior
2. Scapula
3. Trapezius
4. Latissimus dorsi

Correct answer: 1. Serratus anterior

Explanation: -        Boundaries of triangle of auscultation

   Medial- Trapezius
   Lateral- Scapula
   Inferior- latissimus dorsi